Aspirin is contraindicated in a patient who in on treatment with :
1. Prednisolone
2. Warfarin
3. Theophyline
4. Oral contraceptives

Correct answer: 2. Warfarin